Carcinoid syndrome produces valvular disease primarily involving:
1. Venous valves
2. Tricuspid valve
3. Mitral valve
4. Aortic valve

Correct answer: 2. Tricuspid valve

Explanation: Answer is B (Tricuspid valve) The most commonly involved valve in carcinoid syndrome is tricuspid valve.